Peripheral anterior synechiaeafteran attackof acute congestive glaucoma occur earliest in the:
1. Lower part
2. Upper part
3. Lower and inner part
4. Lower and outer part

Correct answer: 2. Upper part

Explanation: Ans. Upper part